Drug of choice of choroiditis is –
1. Cycloplegic (atropine)
2. Analgesic
3. Steroid
4. Antibiotic

Correct answer: 3. Steroid

Explanation: Treatment of choice for all form of uveitis is corticosteroids :-


Anterior uveitis (Iridocyclitis) → Topical corticosteroids.
Intermediate uveitis (Pars planitis) → Systemic corticosteroids.
Posterior uveitis (choroiditis) → Systemic corticosteroids.